Threshold radiation dose for hematological syndrome is?
1. 2 Gy
2. 6 Gy
3. 15 Gy
4. 50 Gy

Correct answer: 1. 2 Gy

Explanation: Ans. is'a'i.e., 2 GyBone marrow or hematological syndrome:- Full syndrome occurs with a dose between 0.7 and 3 Gy (70-300 rads).The destruction of bone marrow cells results in pancytopenia.